A child comes with the complaints of bed wetting. First line of Treatment
1. Desmopressin
2. Oxybutynin
3. Motivational therapy
4. Bed alarm technique

Correct answer: 3. Motivational therapy

Explanation: Nocturnal enuresis' refers to involuntary urination at night beyond the age of 5 years. Treatment- First line - Diet and lifestyle changes, Motivational therapy Second line- Bed alarm technique- gives excellent response Third line - Drugs Bed Alarm technique These are moisture sensing alarms As soon as the child passes the urine in bed, it would detect the moisture in undergarment of the child and will ring. Combination of drug and bed alarm technique has lowest relapse rates.